Which carcinoma metastases to heart?a)  Ca breastb) Ca stomach c)  Ca lungd)  Ca urinary bladder  e) Osteosarcoma
1. a
2. bc
3. ac
4. b

Correct answer: 3. ac

Explanation: "Although cardiac metastases occur in 1-20% of all tumor types, the relative incidence is especially high in malignant melanoma and, to a somewhat lesser extent, in leukemia and lymphoma. In absolute terms, the most common primary originating sites of cardiac metastases are carcinoma of the breast and lung, reflecting the high incidence of these cancers. Cardiac metastases almost always occur in the setting of widespread primary disease, and most often either primary or metastatic disease exists elsewhere in the thoracic cavity"
— Harrison 17th/1497
"The most frequent tumors involving the heart as metastases are carcinomas of the lung & breast,melanomas, leukemias & lymphomaf
— Robbins 7tb/614
Table (CSDT 11th/ 434):